Sullage consists of
1. Solid vegetable waste matter
2. Inorganic waste
3. Waste containing human excreta
4. Waste water from kitchen

Correct answer: 4. Waste water from kitchen